Brachiocephalic vein is formed by
1. Internal jugular vein and suclavicular vein.
2. External jugular vein and suclavicular vein.
3. Internal jugular vein and retromandibular vein.
4. External jugular vein and retromandibular vein.

Correct answer: 1. Internal jugular vein and suclavicular vein.